A neonate had these severe limb malformations visible at birth. There is a history of exposure of fetus to Thalidomide in the antenatal period. What is the name of this defect?
1. Achondroplasia
2. Osteogenesis imperfecta
3. Phocomelia
4. Acromelia

Correct answer: 3. Phocomelia

Explanation: c. PhocomeliaHistory of exposure of fetus to Thalidomide in the antenatal period & the limbs of this child appearing like the flippers of a seal, suggest 'Phocomelia'.